Skyline view X-ray is useful in diagnosing -
1. Patellofemoral problem
2. Radioulnars problem
3. Tibiofibular problem
4. Skull fracture

Correct answer: 1. Patellofemoral problem

Explanation: Ans. is 'a' i.e., Patellofemoral problem o A 'Skyline' or 'Sunrise' or 'sunset' or 'axial' or 'tangential' or 'mountain view' gives most information about patellofemoral joint.o It is rarely indicated in the context of trauma. This view is only necessary if the standard views are normal and a patellar fracture is still suspected, or to assess patellar dislocation,o A skyline view can only be acquired if the patient can tolerate knee flexion.